True about subcutaneous nodule in Rheumatic fever–a) Non tenderb) Most common manifestationc) Present on extensor surfacesd) Associated with arthritis
1. a
2. bc
3. ac
4. b

Correct answer: 3. ac

Explanation: Subcutaneous nodule                                                                                                                 

It is a rare manifestation of acute RF.
Subcutaneous nodules are a late manifestation and appear 6 weeks after the onset of RF.
Often seen in association with carditis.
Do not appear as isolated manifestation.
These are round, firm, painless & nontender, freely movable subcutaneous lesions.
Found along the extensor surfaces of tendons near the bony prominences such as elbow, knees, wrists, occiput and spine.
Last for a week or two and disappear spontaneously.